All are derivatives of Neural Crest except
1. Dorsal nerve root ganglia
2. Neurons of sympathetic ganglia
3. Neurons of parasympathetic ganglia
4. Neurons of sensory ganglia of 1, 2 and 8

Correct answer: 4. Neurons of sensory ganglia of 1, 2 and 8

Explanation: Several important structures are derived from the neural crest. These are:1. The neurons of the spinal posterior (dorsal) nerve root ganglia.2. The neurons of the sensory ganglia of the fifth, seventh, eighth, ninth and tenth cranial nerves.3. The neurons and satellite cells of the sympathetic ganglia: the preaortic ganglia.4. The neurons and satellite cells of parasympathetic ganglia of cranial nerves (i.e. ciliary, submandibular, sphenopalatine and otic).5 The parasympathetic ganglia (enteric ganglia) of the gastrointestinal tract and ganglia related to pelvic viscera.6 The Schwann cells that form the neurolemmal sheaths of all peripheral nerves.7 The specific cells of the adrenal medulla. Chromaffin tissue.8 The pigment cells (melanoblasts) of the skin.Reference: Inderbir Singh Embryology; 10th edition